TRUE about mucormycosis is:
1. Not seen in India
2. Nose is a common site
3. Diabetes is not a predisposing factor
4. Metachromatic bodies are seen

Correct answer: 2. Nose is a common site

Explanation: Mucormycosis: is an opportunistic mycosis caused by fungi of class zygomycetes. Mucor and rhizopus species are the most common agents to cause Zygomycoses. These fungi are ubiquitious worldwide in soil, manure and decaying organic matter. Mucoracae are commonly cultured from the nose, throat, mouth and feces of many healthy individuals. The most common clinical presentation is induration of the skin with surrounding erythema with rapidly progressing to necrosis. Conditions that predispose: Acidosis associated with diabetes mellitus Organ transplant recipients Long term desferroxamine therapy Immunosuppression due to steroids or cytoxic drugs Hematological malignancy leukaemia, lymphoma Chronic renal failure Severe burn Good to know: Rhinocerebral mucormycosis is a rare opportunistic infection of the sinuses, nasal passages, oral cavity, and brain caused by saprophytic fungi (rhizopus, mucor). Most commonly seen in immunocompromised individual. Ref: Jawetz, 'Medical microbiology', 23rd Edition, Page 650; Textbook of Microbiology,By R. Ananthanarayan, C.K. Jayaram Paniker, 7th Edition, Page 625.